Wrong statement about pregnancy is:
1. Amenorrhea is the earliest symptom
2. Fetal heart sounds heard between 18-20th weeks
3. Fetal parts are palpable at 20 weeks of gestation
4. At 40th week, fundal height is at xiphisternum

Correct answer: 4. At 40th week, fundal height is at xiphisternum

Explanation: Ans. At 40th week, fundal height is at xiphisternum